IgM is:
1. Monomer
2. Dimer
3. Pentamer
4. Tetramer

Correct answer: 3. Pentamer

Explanation: Ans. (c) PentamerRef: Anatnayayan 9/ e page 98AntibodyEffective valency* IgM5* IgG2* IgD2* IgE2* IgA2,4Also Know* Ig having maximum molecular weight: IgM* First antibody produced by newborn: IgM* All immuniglobulin are heat stable EXCEPT: IgE* Ig present in breast milk: IgA* Ig with maximum half life: IgG* Ig with minimum half life: IgE* Ig having maxilum serum concentration: IgG * Ig having least serum concentration: IgE